Central tendon of diaphragm is derived from-
1. Septum transversum
2. Pleuroperitoneal membrane
3. Dorsal mesogastrium
4. Ventral mesogastrium

Correct answer: 1. Septum transversum

Explanation: Ans. is 'a' i.e., Septum transversum * Diaphragm develops from 4 structures derived from mesoderm which unite to form a sheet.1) Septum transversum Gives origin to sternal part and central tendinous region.2) Pleuroperitoneal membrane Dorsal paired portion.3) Dorsal mesentry of oesophagus Gives origin to crural part (Dorsal unpaired portion).4) Lateral body walls (from cervical myotome)Gives origin to peripheral costal portion of diaphragm.